An obese 43 year old female complains of transient visual obscuration, headache and diplopia. All the following are findings EXCEPT
1. Papilledema
2. Increased intracranial pressure
3. Cerebral venous thrombosis
4. 6th nerve palsy

Correct answer: 3. Cerebral venous thrombosis

Explanation: This is a case of Pseudotumor cerebri/ idiopathic intracranial hypertension. General features: Age: Typically affects individuals between 40-50 years; however, age is no bar. Raised ICP >250 mm of H2O causes papilledema causing transient visual obscuration. Raised ICT pushes brain stem down and causes pressure and paralysis of 6th nerve. Pulsatile tinnitus occurs. On MRI everything appears normal in brain. Thus there is no cerebral venous thrombosis